Most common type of lung carcinoma in non smokers is:
1. Small cell carcinoma
2. Adenocarcinoma
3. Squamous cell carcinoma
4. Large cell carcinoma

Correct answer: 2. Adenocarcinoma

Explanation: Ans. B: AdenocarcinomaCommon types of lung cancer classification (e.g., based on histopathologic factors) include the following:Small cell carcinoma (also called oat cell carcinoma; lung cancer composed of anaplastic (unspecialized, undifferentiated) small cells)Squamous cell carcinoma (cancer of the layered, squamous epithelium (surface cells) of the lungs or bronchi)Adenocarcinoma (cancer of the glandular tissue, or cancer in which the tumor cells form recognizable glandular patterns)Large cell carcinoma (lung cancer composed of large-sized cells that are anaplastic in nature and often arise in the bronchi)Broncho-alveolar carcinomaMixed and undifferentiated pulmonary carcinomasAdenocarcinoma of the lung is currently the most common type of lung cancer in lifelong non-smokers. Adenocarcinomas account for approximately 40% of lung cancers.This cancer is more often seen peripherally in the lungs than are small cell lung cancer and squamous cell lung cancer, both of which tend to be more often centrally located.